Which of the following conditions is most likely to lead to a dry tap during bone marrow aspiration -
1. Acute lymphoblastic leukemia
2. Multiple myeloma
3. Megaloblastic anaemia
4. Idiopathic myelofibrosis

Correct answer: 4. Idiopathic myelofibrosis